Hypolipidemic drugs act on all except ?
1. HMG Co A reductase
2. Lipoprotein lipase
3. Acyl CoA, cholesterol acyl transferase 1
4. Peripheral decarboxylase

Correct answer: 4. Peripheral decarboxylase

Explanation: Ans. is 'd' i.e., Peripheral decarboxylase Hypolipidemic drugs HMG-CoA reductase inhibitors (statins) - Lovastatin, Simvastatin, Pravastatin, Atorvastatin, Rosuvastatin. Bile acid sequestrants (Resins) - cholestyramine, colestipol. Activate lipoprotein lipase (fibric acid derivatives) - clofibrate, gemfibrozil, bezafibrate, fenofibrate. Inhibit lipolysis and triglyceride synthesis - Nicotinic acid. Other - Probucol, Gugulipid, Ezetimibe, Avasimibe, Torcetrapib. Ezetimibe inhibits intestinal cholesterole absorption. Avasimibe inhibits enzyme acyl Coenzyme A : cholesterol acyl transferase-1 (ACAT-1) which causes esterification of cholesterol. Torcetrapib inhibits cholesterol ester triglyceride transport protein - T HDL cholesterol.